Branched-chain ketoacid decarboxylation is defective in -
1. Maple syrup urine disease
2. Hartnup disease
3. Alkaptonuria
4. GM-1 gangliosidosis

Correct answer: 1. Maple syrup urine disease